Basal ganglia calcification is seen in all except:
1. Hypoparathyroidism
2. Wilson's disease
3. Perinatal hypoxia
4. Fahr's syndrome

Correct answer: 2. Wilson's disease

Explanation: B i.e. Wilson's disease